Calcification of permanent first molar usually 
begins in the:
1. Third month of intrauterine life
2. In the sixth month of intrauterine life
3. At birth
4. In the third month of extra uterine life

Correct answer: 3. At birth